Vertical banded gastroplasty also known as stomach stapling is done for:-
1. Gastric carcinoma
2. Achalasia cardia
3. Perforated gastric ulcer
4. Morbid obesity

Correct answer: 4. Morbid obesity

Explanation: Vertical banded gastroplasty also known as stomach stapling is done for morbid obesity. Restrictive operation: Restricts or decrease food intakeQ Upper stomach near esophagus is stapled vertically to create a small pouch along the lesser curvature of stomachQ